Clinical features of a vertebrobasilar transient ischemic attack include all the following except:
1. 'Drop' attacks
2. Aphasia
3. Diplopia & vertigo
4. Ataxia

Correct answer: 2. Aphasia

Explanation: Aphasia A vertebrobasilar transient ischemic attack is characterized by the sudden onset of one or the more of the following symptoms and signs .Paresis (1,2 or 4/limbs), drop attacks, numbness of involved limbs and face, impaired vision (Diplopia or Bilateral visual field defects) vertigo, nausea, dysarthria and ataxia. Aphasia is a feature of Carotid artery transient ischemic attack.